All are true about scrub typhus, except :
1. Causative organism is O. Tsutsugamoshi
2. Vector is trombiculide mite
3. Adult female feeds on vertebrate hosts
4. Tetracycline is the drug of choice

Correct answer: 3. Adult female feeds on vertebrate hosts

Explanation: “Mite feeds on serum of warm blood animals only during there larval stage (chiggers) and adult mites feed only on plants”
Scrub typhus :
Caused by O. tsutsugamushi
Transmitted by trombiculid mite which also shows transovarian spread
Clinical features :
Fever, headache, myalgia, cough and GI symptoms.
Classic case includes an eschar, regional lymphadenopathy and a maculopapular rash.